True statement regarding portal venous system:
1. Whole system is valve less
2. Valves are present at the junction of superior mesenteric artery and splenic artery
3. Valves are present in the intrahepatic system
4. There are about 10-12 valves along the entire course

Correct answer: 1. Whole system is valve less

Explanation: Ans. (a) Whole system is valve lessRef BDC 4th ed. Vol. 11/268-71, Gray's 39th ed /1218-19* In adults, the portal vein and its tributaries have no valves.* In fetal life and for a short postnatal period valves are demonstrable in its tributaries, but they usually gets atrophied.* Rarely some persist in an atrophic form into adulthood.